True about thyroid storm -
1. Bradycardia
2. Hyperthermia
3. Hypercalcemia
4. Hypotension

Correct answer: 2. Hyperthermia

Explanation: Thyrotoxic crisis, or thyroid storm, is rare and presents as a life-threatening exacerbation of hyperthyroidism, accompanied by fever, agitation, confusion, delirium, seizures, coma, vomiting, diarrhea, jaundice, hypertension, tachycardia or atrial fibrillation and in the older patients, cardiac failure. Thyrotoxic crisis is usually precipitated by acute illness (e.g., stroke, infection, trauma, diabetic ketoacidosis), surgery (especially on the thyroid), or radioiodine treatment of a patient with partially treated or untreated hyperthyroidism. Reference : page 2297 Harrison's Principles of Internal Medicine 19th edition